Meckel's diverticulum, true are A/E
1. Has three layers with artery
2. Heterotopic epithelium in 50-60% cases
3. Always gastric epithelium
4. May present with hemorrhage

Correct answer: 3. Always gastric epithelium

Explanation: .It is- * 2% common. * 2 feet from the ileo-caecal valve. * 2 inch in length. * It is congenital, results from incomplete closure of vitello-intestinal duct. * It is the most common congenital anomaly of small intestine. * Arises from the antimesenteric border of the ileum, containing all three layers of the bowel with independent blood supply. * In 20% of cases mucosa contains heterotopic epithelium like gastric (commonest), colonic and pancreatic tissues. * It may be connected to or communicated with the umbilicus through a band or fistula. * It may be associated with oesophageal atresia, exomphalos, and anorectal malformations. ref:SRB's manual of surgery,ed 3,pg no 798